True regarding common bile duct is all except -
1. Opens 10 cm distal to the pylorus
2. Lies anterior to I.V.C.
3. Portal vein lies posterior to it
4. Usually opens into duodenum separate from the main pancreatic duct

Correct answer: 4. Usually opens into duodenum separate from the main pancreatic duct

Explanation: Bile duct opens into 2nd part of duodenum after joining pancreatic duct. It opens into major duodenal papilla, 8-10 cm distal to pylorus.